Posterior staphyloma is most commonly seen in:
1. Perforating injuries of the peripheral cornea
2. Developmental glaucoma
3. Sloughing corneal ulcer
4. Degenerative myopia

Correct answer: 4. Degenerative myopia

Explanation: Ans: D i.e. Degenerative myopia Staphyloma & causes The usual causes of intercalary staphyloma are perforating injuries of the peripheral cornea, marginal corneal ulcer, anterior scleritis etc. Developmental glaucoma, end stage primary or secondary glaucoma, scleritis & trauma to the ciliary region of the eye are some of the conditions that lead to a ciliary staphyloma The most common cause of anterior staphyloma is a sloughing corneal ulcer which perforates && heals with the formation of a pseudocornea Degenerative high axial myopia is the most common cause of posterior staphyloma